Initial movement of developing tooth within the bony crypt is:
1. Bodily and eccentric.
2. Bodily and centric.
3. Axial.
4. None.

Correct answer: 1. Bodily and eccentric.

Explanation: Initial movement of developing tooth within the bony crypt - bodily and eccentric.
Final movement of developing tooth for appearing in oral cavity - Axial.